Which of the following statement about light microscopy finding in minimal change disease is TRUE?
1. Loss of foot process
2. Ami GBM Abs seen
3. IgA deposits seen
4. No change seen

Correct answer: 4. No change seen

Explanation: Light microscopy does not show obvious glomerular lesions in minimal change disease. Immunofluorescent microscopy is usually negative for deposits, occasionally it may show deposits of small amount of IgM in the mesangium. Electron microscopy shows effacement of foot process supporting the epithelial podocytes with weakening of slit pores. Minimal change disease presents clinically with the abrupt onset of edema and nephrotic syndrome. Average protein excretion is 10gm/24hrs. Less common features are hypertension, microscopic hematuria, atopy, and decreased renal function. Patients with nephrotic syndrome are at increased risk of thromboembolic events, develop severe hyperlipidemia, and may experience protein malnutrition. Ref: Harrison's Principles of Internal Medicine 18e chapter 283.